Which of the following is related to third part of duodenum anteriorly ?
1. Portal vein
2. Head of pancreas
3. Hepatic artery
4. Superior mesenteric vein

Correct answer: 4. Superior mesenteric vein

Explanation: The third part, or horizontal part or inferior part of the duodenum begins at the inferior duodenal flexure and passes transversely to the left, passing in front of the inferior vena cava, abdominal aorta, and the vertebral column. The superior mesenteric artery and vein are anterior to the third part of duodenum. Ref - BDC 6e vol2 pg262